Soemmering's ring is seen in -
1. Posterior subcapsular cataract
2. After cataract
3. Endophthalmitis
4. Fuchs heterochromia iridis

Correct answer: 2. After cataract

Explanation: Ans. is 'b' i.e., After cataract After cataract (Secondary cataract or posterior capsular opacification)* Posterior capsular opacification (PCO) is seen after ECCE. Opacification of the posterior capsule is caused by postoperative proliferation of cells in the capsular bag and is the most common complication of ECCE.* After cataract may present as thickened posterior capsule, or dense membranous after cataract or Soemmering's ring which refers to a thick ring of after cataract formed behind the iris, enclosed between the two layers of capsule or Elschnig's pearls in which the vacuolated subcapsular epithelial cells are clustered like soap bubbles along the posterior capsule.* After cataract, if thin, can be cleared centrally by Nd: YAG laser capsulotomy. Discission with cystitome or zeigler's knife may also be used. Thick membranous after cataract needs surgical membranectomy.